Process by which an individual gradually acquires culture and becomes a member of a social group is known as:
1. Internalisation
2. Acculturation
3. Socialization
4. Custom

Correct answer: 3. Socialization

Explanation: Ans. C: Socialization Acculturation is the exchange of cultural features that results when groups of individuals having different cultures come into continuous first hand contact; the original cultural patterns of either or both groups may be altered, but the groups remain distinct. Socialization is the process by which an individual gradually acquires culture and becomes a member of the social group.